Habrdness of water has a beneficial effect againts which one of the following -
1. Renal diseases
2. Metabolic diseases
3. Cerebrovascular diseases
4. Cardiovascular diseases

Correct answer: 4. Cardiovascular diseases

Explanation: Reports from several countries have shown an inverse statistical association between the hardness of drinking water and the death rate from cardiovascular diseases. Areas supplied with soft drinking water showed a significantly higher prevalence of either arteriosclerotic disease or degenerative heart disease, hypertension, the sudden death of cardiovascular origin. Park's Textbook of Preventive and Social Medicine, 25th edition, Page No. 787